Total iron binding capacity is increased in
1. Iron deficiency anaemia
2. Anaemia of chronic disease
3. Sideroblastic anaemia
4. β - thala ssemia

Correct answer: 1. Iron deficiency anaemia

Explanation: Iron deficiency anaemia.
Serum  ↓.
Serum ferritin ↓.
TIBC ↑.